BASDAI criteria is indicated in
1. Ankylosing spondylitis
2. Rheumatic Arthritis
3. Kawasaki Disease
4. Any autoimmune disease

Correct answer: 1. Ankylosing spondylitis

Explanation: BASDAI(Bath Ankylosing Spondylitis disease activity index) Used to know effectiveness of drug therapy On a scale of 1-10 it is measured by various factors like discomfort, pain, morning stiffness etc If the value is >4 there is suboptimal control of disease